Which of the following criteria can be used to determine if a pheochromocytoma lesion is benign or malignant
1. Blood vessel invasion
2. Cannot be determined by microscopic examination
3. Hemorrhagic and necrosis
4. Nuclear pleomorphism

Correct answer: 2. Cannot be determined by microscopic examination

Explanation: Ref Robbins 8/e p1159-1161;9/e p1135 Pheochromocytoma and their related counterparts in extra adrenal sites called paraganglioma, are notorious Because the only reliable indicator of metastasis potential is the presence of distant metastasis . Very malignant appearing tumors may not metastasize and benign appearing tumors may produces metastases . These tumors should all be considered " potentially malignant" .